Littoral cell angioma is:
1. Tumor of spleen
2. Angiomatous lesion of skin
3. Angioblastic tumor of Cerebellum
4. Congenital vascular anomaly at base of brain

Correct answer: 1. Tumor of spleen

Explanation: Littoral cell angioma
• Is a benign, vascular tumor of spleen presenting as spleenomegaly
• It may be associated with other malignancies and has malignant potential itself
• The tumor arises from the littoral cells in the splenic red pulp sinuses. Littoral cell angioma affects both men and
Women equally with no specific age predilection
• It is usually asymptomatic and is discovered incidentally
• Some of the patients with this entity may present with symptoms of hypersplenism such as anemia,
thrombocytopenia, and splenomegaly, the latter seen in almost all patients with littoral cell angioma